A new born is noted to have a large head and short limbs. On further examination, short broad fingers, a small face, and low–normal length are noted. The trunk appears long and narrow. to confirm the diagnosis you should –
1. Order an ophthalmologic examination
2. Obtain skeletal radiographs
3. Order chromosome analysis
4. Examine the parents

Correct answer: 2. Obtain skeletal radiographs

Explanation: In case of disproportionate limbs and trunk, arrange for skeletal X-rays.